Maximum contraction of gall bladder is seen with
1. CCK
2. Secretin
3. Gastrin
4. Enterogastrone

Correct answer: 1. CCK

Explanation: Bile salts are the most important cholerectic or the substance that increases bile secretion. Cholecystokinin (CCK) is the most important cholagogue or substance that increases the contraction.